The following are the risk factors for inguinal hernia:a) Family history of inguinal herniab) Weight lifterc) COPDd) Femalee) Obesity
1. bcde
2. abce
3. acde
4. abde

Correct answer: 2. abce

Explanation: 2 factors are responsible for causing any hernia:

weakness of abdominal muscle
chronically increased intraabdominal pressure

Weakness of abdominal muscles
1. Patent processus vaginalis
2. Patent canal of Nuck causes indirect inguinal hernia in females
3. Connective tissue disorders like Ehlers Danlos syndrome
4. Congenital condition like Exstrophy of bladder, Prune belly syndrome
5. Advancing age and chronic debilitating diseases
Increased abdominal pressure

Marked obesity
Abdominal strain from heavy exercise or lifting
Chronic cough in bronchitis, tuberculosis etc. (Whoopic cough in children)
Chronic constipation with straining at stool
Enlarged prostate with straining at micturition
Pregnancy
Cirrhosis with ascites
Chronic ambulatory peritoneal dialysis
Intraabdominal tumors
Chronically enlarged pelvic organs

Other risk factors

Family history
Sex - Indirect inguinal are more common in boys
Preterm babies
History of hernia - h/o of hernia on one side is risk factor for the other side.